First case which comes to the notice of investigator is:
1. Index case
2. Initial case
3. Primary case
4. Secondary case

Correct answer: 1. Index case

Explanation: Ans. (a) Index caseRef: K. Park 23rded. 195* Index Case: In epidemiology, first case of a disease in a group which is seen by an investigator or which brought to the attention of the clinician. It is not always the primary case.* Primary case: first case of communicable disease introduced into the population unit being studied.* Secondary case: all case who develop from primary case* Incubation period: entry of organism till 1st sign/ symptom* Median incubation: time period for 50% case to occur